Gustafson's method is most useful for:
1. 16 years
2. 18 years
3. 21 years
4. > 25 years

Correct answer: 4. > 25 years

Explanation: Ans. > 25 years